All are side effects of clozapine EXCEPT:
1. Granulocytopenia
2. Seizures
3. Sedation
4. Extrapyramidal side effects

Correct answer: 4. Extrapyramidal side effects

Explanation: Only weak D2 blocking action, produces few /no extrapyramidal symptoms; tardive dyskinesia is rare and prolactin level does not rise. Ref KD Tripati 8th ed.